The patient is being administered i.v. quinine following which he developed restlessness and sweating, the most likely cause is :
1. Hypoglycemia
2. Cinchonism
3. Arrhythmias
4. Sweating

Correct answer: 1. Hypoglycemia